Roof of the Anatomical snuff box is formed by the
1. Radial artery
2. Basilic artery
3. Sup branch of radial nerve
4. Sup branch of ulnar nerve

Correct answer: 3. Sup branch of radial nerve

Explanation: Anatomical snuff box boundaries: Lateral wall Abductor pollicis longus Extensor pollicis brevis Medial wall Extensor pollicis longus Roof Cephalic vein Sup branch of radial nerve Floor Radial styloid, scaphoid, trapezium,1st meta carpal Content Radial Artery Ref: Gray's Anatomy The Anatomical Basics of Clinical Practice 41 e pg 893.